Angiotensin II level decreased by which antihypertensive ?
1. Hydralazine
2. Enalapril
3. Methyldopa
4. Nitroglycerine

Correct answer: 2. Enalapril

Explanation: Ans. is 'b' i.e., Enalapril